The mechanism of action by which pyrantel pamoate is effective for the treatment of Necator americanus (hookworm) disease is.
1. Interference with cell-wall synthesis
2. Interference with cell division
3. Inhibition of neuromuscular transmission
4. Depletion of membrane lipoproteins

Correct answer: 3. Inhibition of neuromuscular transmission

Explanation: Pyrantel pamoate is an antihelminthic that acts primarily as a depolarizing neuromuscular blocker. In certain worms, a spastic neuromuscular paralysis occurs, resulting in the expulsion of the worms from the intestinal tract of the host. Pyrantel also exerts its effect against parasites release of acetylcholine andinhibition of cholinesterase.